All belong to the hematological manifestations used for the diagnostic criteria of SLE, EXCEPT:
1. Leukopenia (<4000/L)
2. Lymphopenia (<1500/L)
3. Thrombocytopenia(<100,000/L)
4. Neutropenia (< 1500/L)

Correct answer: 4. Neutropenia (< 1500/L)

Explanation: Hematologic disorder used as the Diagnostic Criteria for Systemic Lupus Erythematosus Hemolytic anemia Leukopenia (<4000/L) Lymphopenia (<1500/L) Thrombocytopenia(<100,000/L) in the absence of offending drugs Neutropenia is not being mentioned in the diagnostic criteria Table 319-3 Diagnostic Criteria for Systemic Lupus Erythematosus Malar rash Fixed erythema, flat or raised, over the malar eminences Discoid rash Erythematous circular raised patches with adherent keratotic scaling and follicular plugging; atrophic scarring may occur Photosensitivity Exposure to ultraviolet light causes rash Oral ulcers Includes oral and nasopharyngeal ulcers, observed by physician Arthritis Nonerosive arthritis of two or more peripheral joints, with tenderness, swelling, or effusion Serositis Pleuritis or pericarditis documented by ECG or rub or evidence of effusion Renal disorder Proteinuria >0.5 g/d or 3+, or casts Neurologic disorder Seizures or psychosis without other causes Hematologic disorder Hemolytic anemia or leukopenia (<4000/L) or lymphopenia (<1500/L) or thrombocytopenia(<100,000/L) in the absence of offending drugs Immunologic disorder Anti-dsDNA, anti-Sm, and/or anti-phospholipid Antinuclear antibodies An abnormal titer of ANA by immunofluorescence or an equivalent assay at any point in time in the absence of drugs known to induce ANAs At least 4 of the above is needed to diagnose SLE. Ref: Harrison, E-18, P-2733.